The best scars are seen in
1. Infants
2. Children
3. Adults
4. Very old people

Correct answer: 4. Very old people